Which of the following graft resembles TMJ morphologically, structurally, functionally, histologically:
1. Costocondral graft.
2. Calvarial graft.
3. Sternoclavicular graft.
4. Metatarsal graft.

Correct answer: 3. Sternoclavicular graft.